Salivary secretion becomes zero at:
1. >30 Gray
2. >60 Gray
3. >40 Gray
4. >50 Gray

Correct answer: 2. >60 Gray